G6PD help in maintaining the integrity of RBC by:
1. Controlling oxidative stress on RBC
2. Controlling reduction stress on RBC
3. Maintaining flexibility of cell membrane
4. Component of electron transport chain

Correct answer: 1. Controlling oxidative stress on RBC

Explanation: Ans. (a) Controlling oxidative stress on RBCRef: Robbin's pathology 9th ed. /634* G6PD helps in neutralizing the effect of oxidative stress on the RBC.* Oxidative stress is induced by drugs like primaquine and hence in patients of G6PD there is accelerated hemolysis (intravascular during the hemolytic episode) resulting in hemoglobinuria and passage of shockingly black urine by the patient.